Most sensitive part of retina is
1. Macula
2. Fovea-centralis
3. Optic disc
4. Peripheral-retina

Correct answer: 2. Fovea-centralis

Explanation: Ans. is 'b' i.e Fovea Centralis Fovea centralis, is a depression or pit situated at the posterior pole of eye, 3 mm to the temporal side of the optic disc.Here the retinal layer consists only of cones and other layers are completely absentFovea is the most sensitive part of retinaFovea is surrounded by a small area, the macula lutea, which although not so sensitive, in more so than other parts of retina.